In IMR, age of infants is considered –
1. Below 1 month
2. Below 1 year
3. Upto 1 year
4. 28 days

Correct answer: 2. Below 1 year

Explanation: Infants are children less than 1 year of age.

Infant mortality rate
"The ratio of infant death in a year to the total number of live birth in that year. But it is usually expressed as a rate per 1000 live birth".